All the following pathogenic bacteria fulfill Koch's postulates, except -
1. Treponema pallidum
2. Yersinia pestis
3. Bacillus anthracis
4. Helicobacter pylori

Correct answer: 1. Treponema pallidum

Explanation: Ans. is 'a' i.e., Treponema pallidum